Most common pathological features in diabetes melitus is -
1. Papillary necrosis
2. Diffuse glomerulosclerosis
3. Renal atherosclerosis
4. Chronic pyelonephritis

Correct answer: 2. Diffuse glomerulosclerosis